If a normal individual receives an insulin injection that lowers plasma glucose to 30 mg/dl, which of thefollowing hormones will not be released-
1. ACTH
2. Epinephrine
3. Growth hormone
4. Aldosterone

Correct answer: 4. Aldosterone

Explanation: * In response to falling blood glucose, there is normally increased secretion of counter regulate hormones which counter the 'blood glucose lowering' effect of insulin. Glucagon and Adrenalin art the most important of these. ,, * Growth hormone is anti-insulin. It is also known as 'growth & diabetogenic' hormone. It also prevents peripheral utilization of sugar.